Ketamine produces :
1. Emergence delirium
2. Pain on injection
3. Bronchoconstriciton
4. Depression of cardiovascular system

Correct answer: 1. Emergence delirium